Nitrogen washout curve is used in
1. Vital capacity
2. Inspiratory reserve volume
3. Functional residual capacity
4. Residual volume

Correct answer: 3. Functional residual capacity

Explanation: C. i.e. (Functional residual capacity) (62- 63 Anesthesia - Janes - Duke 3rd)Functional residual capacity (RV + ERV)* Measuring FRC is the cornerstone for determining the remainder of the lung volumesThree different technique1. Helium equilibration /dilution2. Nitrogen wash out3. Body plethysmography* Plethysmography is most accurate for determining FRC in patients with COPD and applies Boyles law